Features of hypocalcemia are A/E -
1. Numbness & tingling
2. Circumoral paresthesis
3. Depressed tendon reflexes
4. Skin irritability & sensitivity

Correct answer: 3. Depressed tendon reflexes